All the thenar muscles of the hand are supplied by the median nerve except
1. Opponens pollicis.
2. Abductor pollicis brevis
3. Deep part of flexor pollicis brevis
4. Superficial part of flexor pollicis brevis

Correct answer: 3. Deep part of flexor pollicis brevis

Explanation: The opponens pollicis and abductor pollicis brevis are normally innervated by the median nerve. The flexor pollicis brevis has two heads a superficial and a deep. The superficial is innervated by the median nerve and the deep is innervated by the ulnar nerve.Adductor pollicis supplied by Ulnar nerve